Most common cause of severe hematemesis in a child is-
1. Portal hypetension
2. Peptic ulcer
3. Mallory weiss syndrome
4. None of the above

Correct answer: 1. Portal hypetension

Explanation: Ans. is 'a' i.e., Portal hypertension "Massive hematemesis in a child is almost always due to variceal bleeding". Variceal bleeding is due to portal hypertension.